Corneal endothelial counting is done by?
1. Tachymetry
2. Pachymetry
3. Specular microscope
4. Perimetry

Correct answer: 3. Specular microscope

Explanation: Ans. (c) Specular microscopeRef : Yanoff 3/d, p 83